Desmoglein 1 antibody in a patient with flaccid bulla and erosions on the face and trunk and sparing the mucosa is seen in ?
1. Dermatitis Herpetiformis
2. P vulgaris
3. P foliaceous
4. Bullous pemphigoid

Correct answer: 3. P foliaceous

Explanation: Pemphigus vulgaris (most common) Pemphigus foliaceous Clinical feature:- Early disease - Dsg3 (Mucosa) Late disease - Dsg3 > Dsg1(Skin) Dsg-1 Only Skin involvement Investigations - Histological: Row of tombstone appearance + + DIF + + Fish net like Pattern + + IgG Ab Dsg 3 > 1 Dsg 1